Nanofillers are in the range of:
1. 10 - 100 microns
2. 0.1 - 1 microns
3. 0.01 - 0.1 microns
4. 0.001 - 0.01 microns

Correct answer: 4. 0.001 - 0.01 microns